In polycythemia vera,all are raised except
1. Hematocrit
2. Platelet count
3. RBC
4. Erythropoietin

Correct answer: 4. Erythropoietin

Explanation: Ref Robbins 9/e p656 relative: Reduced plasma volume (hemoconcentration) Absolute primary Abnormal proliferation of myeloid stem cells, normal or low erythropoietin levels (polycythemia vera); inherited activating mutations in the erythropoietin receptor (rare) secondary Increased erythropoietin levels Adaptive: lung disease, high-altitude living, cyanotic heart disease Paraneoplastic: erythropoietin-secreting tumors (e.g., renal cell carcinoma, hepatomacellular carcinoma, cerebellar hemangioblastoma) Surreptitious: endurance athletes